Right axis deviation is seen in all except
1. VSD
2. Tricuspid atresia
3. Pulmonary atresia
4. ASD

Correct answer: 2. Tricuspid atresia

Explanation: Answer is B (Tricuspid Atresia) Tricuspid Atresia is associated with Left Axis deviation and not Right 4xis deviation. Symptoms and signs of Tricuspid Atresia are similar to those of Tetralogy of Fallot. Features suggesting Tricuspid Atresia are Left ventricular type of apical impulse Prominent large 'a' waves in JVP Enlarged liver and presystolic pulsations (a waves) Left axis deviation and left ventricular hypertrophy on ECG